A 23 year old female presented with symptoms of severe pancreatitis. All of the following are the bad prognostic signs in this patient, EXCEPT:
1. TLC> 16000
2. Calcium less than 8 mmol/L
3. Glucose > 200 mg%
4. Prothrombin > 2 times the control

Correct answer: 4. Prothrombin > 2 times the control

Explanation: Ranson criteria differentiates mild and severe pancreatitis. It includes five parameters determined at the time of admission and six parameters determined during the subsequent 48 hours. Ranson Criteria: On admission Within Next 48 h Age >55 y (>70 y) Decrease in hematocrit by >10% (same) White blood cell count >16,000/mm3 (>18,000/mm3) Estimated fluid sequestration >6 L (>4 L) Blood glucose level >200 milligrams/dL (>220 milligrams/dL) Serum calcium level Serum lactate dehydrogenase level >350 IU/L (>400 IU/L) Partial pressure of arterial oxygen Serum aspartate aminotransferase level >250 IU/L (same) Increase in blood urea nitrogen level >5 milligrams/dL after IV fluid hydration (>2 milligrams/dL) Base deficit of >4 mmol/L (>6 mmol) Patients with three or more Ranson criteria have more severe disease and an increased risk of complications and death. Ref: Atilla R., Oktay C. (2011). Chapter 82. Pancreatitis and Cholecystitis. In J.E. Tintinalli, J.S. Stapczynski, D.M. Cline, O.J. Ma, R.K. Cydulka, G.D. Meckler (Eds), Tintinalli's Emergency Medicine: A Comprehensive Study Guide, 7e.